GLUT 5 receptors present in
1. Brain
2. Placenta
3. Small Intestine
4. Skeletal muscle

Correct answer: 3. Small Intestine

Explanation: Major Glucose TranspoersTissue LocationFunctionsGLUT 1Brain, kidney, colon, placenta, erythrocytesGlucose uptakeGLUT 2Liver, pancreatic b cell, small intestine, kidneyRapid uptake or release of glucoseGLUT 3Brain, kidney, placentaGlucose uptakeGLUT 4Heart and skeletal muscle, adipose tissueInsulin-stimulated glucose uptakeGLUT 5Small intestineAbsorption of fructoseSGLT 1Small intestine and kidneyActive uptake of glucose against a concentration gradientRef: Harper's Biochemistry; 30th edition; Chapter 19 Gluconeogenesis & the Control of Blood Glucose